A 65 year old male was diagnosed with prostate cancer three years back and was treated by surgery and hormone therapy. Presently he has developed urinary symptoms and progressive backache. What is the tumor marker, which can be indicative of disease relapse?
1. CA 125
2. Beta-HCG
3. Carcinoembryonic antigen (CEA)
4. PSA

Correct answer: 4. PSA

Explanation: Ans. is 'd' i.e. PSA The role of prostate specific antigen as a tumor marker for prostate carcinoma has been discussed in previous year question papers.